Absent urobilinogen in urine with icterus indicates?
1. Perihepatic obstruction
2. Hemolysis
3. Hepatitis
4. Liver failure

Correct answer: 1. Perihepatic obstruction

Explanation: Ans. (a) Perihepatic obstruction(Ref: Robbins 9th/830-840; Harrisons 18th/chapter 42)ConditionSerum BilirubinUrine UrobilinogenUrine BilirubinFecal UrobilinogenNormalDirect 0.1-0.4 mg/dlIndirect 0.2-0.7 mg/dl0.4 mg/24 hAbsent40-280 mg/24hHemolytic anemia|IndirectIncreasedAbsentIncreasedHepatitis|Direct and indirectDecreased if micro obstruction is presentPresent if micro obstruction occursDecreasedObstructive jaundice| DirectAbsentPresentTrace to absent